Bilateral ptosis is not seen in:
1. Marfan's syndrome
2. Myaesthenia gravis
3. Myotonic dystrophy
4. Kearns sayre syndrome

Correct answer: 1. Marfan's syndrome

Explanation: Ptosis does not occur in Marfans syndrome. Ref: Management of Genetic Syndrome By Suzanne B, 3rd Edition, Page 509 ; Clinical Ophthalmology By Kanski, 3rd Edition, Page 493 and 4th Edition, Page 180-1, 376-77 3. Comprehensive Ophthalmology By A K Khurana, 4th Edition, Page 202